Nail infection is caused by the following except:
1. Trichophyton
2. Epidermophyton
3. Microsporum
4. Candida

Correct answer: 3. Microsporum

Explanation: Superficial fungal infections affect the epidermis, mucosa, nails, and hair. Most of these superficial infections are caused by dermatophytes. Nondermatophytes, such as Candida and Pityrosporum, also produce skin infections. Trichophyton involves Skin Hair Nail Microsporum involves Skin Hair But never nail Epidermophyton involves Skin Rarely nails But never hair